Compartment devoid of neurovascular bundle
1. Anterior compartment of leg
2. Posterior deep compartment of leg
3. Posterior superficial compartment of leg
4. Lateral compartment of leg

Correct answer: 3. Posterior superficial compartment of leg

Explanation: Posterior superficial compartment of leg is devoid of neurovascular bundle